Acute flaccid paralysis is reported in a child aged:-
1. 0-3 years
2. 0-5 years
3. 0-15 years
4. 0-25 years

Correct answer: 3. 0-15 years

Explanation: Any child < 15 years of age who has sudden onset of acute flaccid paralysis / paralytic illness in a person of any age - are suspected to have polio. It is used to identify reservoirs of wild polio virus transmission in National polio surveillance project. Acute: rapid progression from onset to maximum paralysis. Flaccid: loss of muscle tone, floppy- as opposed to spastic or rigid. Paralysis: weakness, loss of voluntary movement. AFP surveillance- Indicators Non polio AFP rate >=2/1,00,000 >80% stool samples collection done